Cysteine is formed from -
1. Methionine and serine
2. Methionine and glycine
3. Alanine and glycine
4. Serine and glycine

Correct answer: 1. Methionine and serine

Explanation: Ans. is 'a' i.e., Methionine and Serine o Cysteine, while not nutritionally essential, is formed from methionine, which is nutritionally essential. Following conversion of methionine to homocysteine , homocysteine and serine form cystathionine, whose hydrolysis forms cysteine and homoserine .o The sulfur of cysteine derives from methionine and the carbon skeleton from serine.